Glanders disease is caused by -
1. Burkholderia mallei
2. Diphtheria
3. Mumps
4. Burkholderia pseudomallei

Correct answer: 1. Burkholderia mallei